Corticotrophs produce all except -
1. ACTH
2. b-endorphin
3. CLIP
4. b-enkephalin

Correct answer: 4. b-enkephalin

Explanation: Ans. is'd'i.e., b-enkephalinCorticotrophs produce pOMC gene products.Derivatives of pOMC are:-Pituitary hormones:ACTH, MSHbeta-lipotropic hormone (beta-LpH)gamma-lipotropic hormone (y-LpH)beta-endorphinCLIP (corticotropin-like intermediate lobe peptide).